What is the most common cause of tricuspid regurgitation?
1. Coronary artery disease
2. Rheumatic heart disease
3. Dilatation of right ventricle
4. Endocarditis due to intravenous drug abuse

Correct answer: 3. Dilatation of right ventricle

Explanation: Tricuspid regurgitation most commonly arise secondary to marked dilation of the tricuspid annulus from right ventricular enlargement due to pulmonary artery hypertension. Tricuspid regurgitation can also occur secondary to right ventricular enlargement from inferior wall MI, in the late stages of heart failure due to rheumatic or congenital heart disease with severe PA hypertension, as well as in ischemic and idiopathic dilated cardiomyopathies. Infarction of RV papillary muscles, tricuspid valve prolapse, carcinoid heart disease, endomyocardial fibrosis, radiation, infective endocarditis, and trauma can also produce TR. Ref: Harrisons Internal Medicine, 18th Edition, Chapter 237